What is the slogan of WHO for year 2018?
1. Universal health coverage: everyone, everywhere.
2. Depression: Let's Talk
3. Health for All
4. Diabetes:Scale up prevention, strengthen care, and enhance surveillance

Correct answer: 3. Health for All

Explanation: Slogan for 2018 is Health for all Theme for 2018 is Universal health coverage: everyone, everywhere NOTE Similar question was asked in NEET exam for 2019 exams the information should be gathered for current year.